Spherical theory is proposed by
1. Bonwill
2. Monson
3. Hall
4. Hanau

Correct answer: 2. Monson